Clergyman's knee is due to
1. Prepatellar bursitis
2. Subcutaneous Infrapatellar bursitis
3. Deep Infrapatellar bursitis
4. Suprapatellar bursitis

Correct answer: 2. Subcutaneous Infrapatellar bursitis

Explanation: Subcutaneous Infrapatellar BursaIt lies in front of lower part of the tibial tuberosity and of the lower part of the ligamentum patellae.Subcutaneous infrapatellar bursitis is called "clergyman's knee."Ref: Chaurasia; Volume 2; 6th edition; Page no: 44